Who coined term anaestehsia
1. Moon
2. Holmes
3. Morgan
4. Priestly

Correct answer: 2. Holmes

Explanation: The term 'Anaesthesia' was coined by Oliver Wendell Holmes in 1846The term "Balanced Anaesthesia" was coined by John Lundy and Ralph Waters.(Refer: Morgan and Mikhail's Clinical Anaesthesiology, 5th edition, pg no.1)